Baby 20 year old female complains of sudden onset palpitation and apprehension. She is sweating for last 10 minutes and fears of impending death. Diagnosis is -
1. Hysteria
2. Generalized anxiety disorder
3. Cystic fibrosis
4. Panic attack

Correct answer: 4. Panic attack

Explanation: The information in this question are: - 1) Sudden (abrupt) onset, 2) Palpitation, 3) Apprehension, 4) Sweating, 5) Sense of impending doom, 6) Symptoms lasts for few minutes (10 minutes).
These are the features of panic disorder.